Acute Primary Amoebic Meningoencephalitis true is ?
1. Meningitis caused by acanthamoeba species is acute in nature
2. Diagnosis is by demonstration of trophozite in CSF
3. Caused by feco oral transmission
4. More common in tropical climate

Correct answer: 2. Diagnosis is by demonstration of trophozite in CSF

Explanation: Ans. is 'b' i.e. Diagnosis is by demonstration of trophozoite in CSF Amoebic meningoencephalitisAmoebic meningoencephalitis is caused by free living amoebasThe free living amoebas which have been implicated are:Naegleria fowleriAcanthamoeba CastellaniHartmannellaThe important point to note here is that: Naegleria fowleri are responsible for acute cases of meningoencephalitisWhileAcanthamoeba cause chronic meningoencephalitisMore on Naegleria fowleri amoebic meningoencephalitisThe cases are seen in children who were swimming and diving in warm, soil contaminated pools either indoors or usually outdoors (in temperate regions e.g. in Europe and N. America).The amoebas enter via the nose and the cribriform plate of the ethmoid passing directly into the brain tissue where they form nests of amoebas that cause extensive hemorrhage and damage, chiefly in the basilar portions of the cerebrum and cerebellum.In most cases death ensues in less than a week."In contrasty Acanthamoeba causes subacute and chronic amoebic meningoencephalitis."Diagnosis * Diagnosis is established by microscopic examination of the cerebrospinal fluid which contains the trophozoite and red cells but no bacteria.TreatmentIt is a disease caused by protozoa but the usual antiprotozoal agents is largely ineffective.N. fowleri has invitro sensitivity to amphotericin B (antifungal drug) therefore this drug is used in the same schedule as in fungal diseases.